Pseudo-Foster-Kennedy syndrome is characterised by all except:
1. It is associated with raised intracranial pressure
2. The culprit tumour causes optic atrophy on one side and papilloedema on the other side
3. It may be associated with pseudotumour cerebri
4. It needs to be differentiated from tumours arising from the orbital surface of frontal lobe

Correct answer: 2. The culprit tumour causes optic atrophy on one side and papilloedema on the other side

Explanation: Ans. The culprit tumour causes optic atrophy on one side and papilloedema on the other side